5th cranial nerve-true are all except
1. Arises from hindbrain
2. Provides sensory innervations to whole face
3. Innervates muscles to mastication
4. Supplies parasympathetic fibres to salivary glands

Correct answer: 4. Supplies parasympathetic fibres to salivary glands

Explanation: Parasympathetic to salivary glands are by facial and glossopharyngeal nerves
Trigeminal nerve (5th cranial nerve)

A nerve responsible for sensation in the face and certain motor functions such as biting and chewing
Trigeminal nerve originates from either side of Pons & has three major branches: the ophthalmic nerve (V1), the maxillary nerve (V2), and the mandibular nerve (V3).
The ophthalmic and maxillary nerves are purely sensory.
The mandibular nerve has both cutaneous and motor functions

Nuclei of Trigeminal nerve